All of the following stains are used for fat except?
1. Oil red O
2. Congo reds
3. Sudan black
4. Osmium tetroxide

Correct answer: 2. Congo reds

Explanation: Ans. is 'b' i.e., Congo red * Congo red is not used in lipid staining. It is used in the staining of amyloid protein.* Stain used for lipids (fatty acids)are Oil red O, Osmium tetroxide, sudan black and sudan III & IV.